The most suitable instrument to remove gutta percha from the root canal is
1. barbed broach
2. peeso reamer
3. tapering fissure bur
4. round bur

Correct answer: 2. peeso reamer